All of the following are true regarding penicillin except:
1. Probenecid decreases it duration of action
2. All penicillin are active against gram positive organisms
3. Splits into 6-amino penicillanic acid by amidase
4. Acts by inhibiting cell wall synthesis

Correct answer: 1. Probenecid decreases it duration of action

Explanation: Ans. A: Probenecid decreases it duration of action Drug interactions have been deliberately used to prolong the effect of penicillin, such as co-administering probenecid with penicillin prior to mass production of penicillin. Because penicillin was difficult to manufacture, it was worthwhile to find a way to reduce the amount required. Probenecid retards the excretion of penicillin, so a dose of penicillin persists longer when taken with it and it allowed patients to take less penicillin over a course of therapy.